Antigen antibody reaction is detected by -a) ELISAb) Southern Blot c) Northern Blotd) Western Blot e) Eestern Blot
1. b
2. c
3. ad
4. ab

Correct answer: 3. ad

Explanation: Antigen-antibody reactions are detected by- Precipitation/flocculation tests, agglutination tests, neutralization tests, complement fixation tests (CFT), western blotting (immunoblotting), ELISA, and radioimmunoassay (RIA).